Most common viral infection in kidney transplant recipients-
1. B3V
2. HSV
3. CMV
4. HBV

Correct answer: 3. CMV

Explanation: Cytomegalovirus is the most common infection in renal transplant recipients. The most common opportunistic infections in renal transplant recipients - Peritransplant (<1month) Wound infections Herpes virus Oral candidiasis Urinary tract infection Early (1-6months) Pnemocystis carinii CMV Legionella listeria Hep -B, C Late(>6 months) Aspergilla Nocardia Bk virus(polyoma) Hep-B, C Herpes zoster Ref:Harrison 20 th edition pg no 2130 tab-307-4